Which is predominant in normal healthy human -
1. LDH 1
2. LDH2
3. LDH 3
4. LDH4

Correct answer: 2. LDH2

Explanation: Ans. is 'b' i.e., LDH2